Cells of the Organ of Corti which are vulnerable to noise induced damage are ?
1. Inner hair cells
2. Outer hair cells
3. Deiter's cells
4. Cells of Hensen

Correct answer: 2. Outer hair cells

Explanation: Ans. is 'b' i.e., Outer hair cells